The lactobacillus count test to assess caries activity was given by:
1. Snyder
2. Jay
3. Hadley
4. Edelstein

Correct answer: 3. Hadley

Explanation: LACTOBACILLUS COLONY COUNT TEST

This caries activity test was introduced by Hadley in 1933.

Essentials of preventive and community dentistry 
Soben Peter 
5th edition